When a chromosome breaks from 1 and joins anothi chromosome, it is called
1. Translocation
2. Isochromosome
3. Ring chromosome
4. Inversion

Correct answer: 1. Translocation

Explanation: (A) Translocation # Structural Abnormalities:> Structural changes in the chromosomes usually result from chromosomal breakage followed by loss or rearrangement of material.> They are of the following types: Translocation implies transfer of a part of one chromosome to another chromosome. The process is usually reciprocal. Isochromosomes result when the centromere divides horizontally rather than vertically. One of the two arms of the chromosome is then lost, and the remaining arm is duplicated, resulting in a chromosome with two short arms only or two long arms only. Ring chromosome is a variant of a deletion. After loss of segments from each end of the chromosome, the arms unite to form a ring. Inversions occur when there are two interstitial breaks in a chromosome, and the segment reunites after a complete turnaround. Deletion involves loss of a portion of a chromosome.